Which of the following does not act by decreasing Aqueous Formation ?
1. Timolol
2. Bimatoprost
3. Brimonidine
4. Dorzolamide

Correct answer: 2. Bimatoprost

Explanation: Prostaglandin analogues act by incerasing uveoscleral outflow.